Megalocornea is associated with A/E -
1. Down syndrome
2. Turner syndrome
3. Marfan syndrome
4. Ehler danlos syndrome

Correct answer: 2. Turner syndrome

Explanation: Megalocornea is labelled when thehorizontal diameter of cornea is of adult size at bihor 13 mm or greater after the age of 2 years. The corneais usually clear with normal thickness and vision. Thecondition is not progressive. Systemic associationinclude Marfan's, Apert, Ehlers Danlos and Downsyndromes. REF:Comprehensive ophthalmology,20th edition,AK Khurana,pg no.91.